Palmar erythema seen in all except -
1. Pregnancy
2. Anemia
3. Cirrhosis
4. Wilson disease

Correct answer: 2. Anemia

Explanation: Alcohol related liver diseases: Non-alcoholic fatty liver disease (NAFLD) The accumulation of liver fat in people who drink little or no alcohol. Hepatitis C An infection caused by a virus that attacks the liver and leads to inflammation. Hepatitis B A serious liver infection caused by the hepatitis B virus that's easily preventable by a vaccine. Cirrhosis of the Liver Chronic liver damage from a variety of causes leading to scarring and liver failure. Hepatitis and chronic alcohol abuse are frequent causes. Liver damage caused by cirrhosis can't be undone, but further damage can be limited. Iron overload: Too much iron in the body. Iron overload is usually caused by an inherited condition called haemochromatosis. Excess iron can poison organs, which can lead to conditions such as cancer, irregular heartbeat and cirrhosis of the liver. Skin lesions Chronic liver diseases All theses conditions shows Palmar erythema Ref Davidson edition23rd pg 812